MC complication of chickenpox in children –
1. Encephalitis
2. Sec. bacterial infection
3. Pneumonia
4. Otitis media

Correct answer: 2. Sec. bacterial infection

Explanation: The most common infectious complication of varicella is a secondary bacterial superinfection of the skin, which is usually caused by Streptococcus pyogenes or Staphylococcus aureus.
The most common extracutaneous site of involvement in children is CNS → Meningitis, Encephalitis, cerebellar, ataxia, Reye's syndrome
Varicella pneumonia is the most serious complication following chickenpox in adults.